Dalen Fuch's nodules are pathognomic of:
1. Pathological myopia
2. Sympathetic ophthalmitis
3. Fuch's uveitis syndrome
4. Sarcoidosis

Correct answer: 2. Sympathetic ophthalmitis

Explanation: Ans. Sympathetic ophthalmitis